Lisch nodules are seen in:
1. Retinoblastoma
2. Neurofibromatosis
3. Retiniitis pigmentosa
4. Neuroblastoma

Correct answer: 2. Neurofibromatosis

Explanation: Ans. B: Neurofibromatosis